Micronodular cirrhosis is seen in all except -
1. Chronic hepatitis B
2. Alcoholic cirrhosis
3. Haemochromatosis
4. Chronic cirrhosis secondary to biliary stasis

Correct answer: 1. Chronic hepatitis B

Explanation: After chronic hepatitis 'B' (Post necrotic cirrhosis), macronodular cirrhosis develops.